Fetomaternal transfusion of fetal RBCs in mother can be detected by:
1. Direct Coomb's test
2. Betke-Kleihauer test
3. Electrophoresis
4. Indirect Coomb's test

Correct answer: 2. Betke-Kleihauer test

Explanation: Ans. Betke-Kleihauer test